This is a specimen of stalk resection of pedunculated bony swelling. Diagnosis is
1. Osteochondroma
2. Chondroma
3. Osteoid osteoma
4. Osteoclastoma

Correct answer: 1. Osteochondroma

Explanation: Osteochondroma, also known as an exostosis, is the most common benign bone tumor; about 85% are solitary.It is a benign cartilage-capped tumor that is attached to the underlying skeleton by a bony stalk. The cap is composed of benign hyaline cartilage varying in thickness and is covered peripherally by perichondrium. The cortex of the stalk merges with the cortex of the host boneRef: Robbins Pathology; 9th edition; Page no: 1200